A condition which does not have granuloma?
1. Infarction
2. TB
3. Sarcoidosis
4. Leprosy

Correct answer: 1. Infarction

Explanation: The dominant histological characteristic of infarction is ischaemic coagulative necrosis, except in the central nervous system where the feature is that of liquefactive necrosis.
It will not lead to granuloma formation.
Granuloma: Focus on chronic inflammation consisting of a microscopic aggregation of macrophages transformed into epithelium-like cells surrounded by a collar of mononuclear leucocytes, principally lymphocytes & occasionally plasma cells.
Types:
Foreign body granuloma, eg. talc, suture Immature granuloma: insoluble particles especially microbes, eg. tubercle granuloma.
Granulomatous inflammation:
TB, leprosy, sarcoidosis, cat scratch disease, brucellosis, syphilis, LGV, berylliosis, some mycotic infections.
Chemical mediators of DHS (delayed hypersensitivity) are:-
IL2, IL3, TNF á, â, IFN by TH1 helper cells
(The chief mediator is IFN Remember: The most important inflammatory mediator = TNF á TH2 helper cells secrete IL 3, 4, 5, 6, 10, 13